Which of the following exclusively involve neurons:
1. Spinocerebellar ataxia
2. Supranuclear palsy
3. Corticobasilar degeneration
4. Multiple system atrophy

Correct answer: 1. Spinocerebellar ataxia

Explanation: Ans. is 'a' i.e. Spinocerebellar ataxia